Hb is a good buffer because of
1. Histidine residues
2. Protein nature
3. Acidic nature
4. Iron molecules

Correct answer: 1. Histidine residues

Explanation: Ref Robbins 9/e p650 Haemoglobin also functions in CO2 and proton transport from tissues to lungs . Release of O2 from Oxy Hb at the tissue is accompanied by uptake of proton due to lowering of the pKa of histamine residues